Conversion of glucose to glucose-6 phosphate in human liver is by
1. Hexokinase only
2. Glucokinase only
3. Hexokinase and glucokinase
4. Glucose-6-phosphate dehydrogenase

Correct answer: 3. Hexokinase and glucokinase

Explanation: Hexokinase and glucokinase may be considered as iso-enzymes. Glucokinase is under the influence of insulin; but hexokinase is not. Hexokinase is present in most tissues. Glucokinase with a high Km for glucose is present in liver and beta cells. Glucokinase is induced by insulin.
Reference: Vasudevan 7th  ed, pg 109